Composition of super EBA includes all except:
1. ZOE
2. Alumina.
3. Orthoethoxy benzoic acid.
4. Glacial acetic acid.

Correct answer: 4. Glacial acetic acid.